Superior orbital fissure syndrome include all except-
1. 3rd nerve
2. 4th nerve
3. 6th nerve
4. 2nd nerve

Correct answer: 4. 2nd nerve

Explanation: Ans. is 'd' i.e., 2nd nerveo The superior orbital fissure is a cleft between the lesser and greater wing of sphenoid.o The structures passed through superior orbital fissure are 3rd, 4th, 6th nerve, ophthalmic division of 5th nerve, superior & inferior division of ophthalmic vein and sympathetic fibres,o Therefore symptoms of superior orbital fissure syndrome are same as in cavernous sinus thrombosis, i.e., painful ophthalmoplegiaPain (retro-orbital pain) and sensory disturbances in the V1 (ophthalmic division of 5th nerve) distributionIpsilateral ophthalmoplegia (3rd, 4th and 6th nerve involvement).